World bank gives loans for
1. Cobalt therapy of radiotherapy department
2. For economic growth
3. Purchase of microscope for tuberculosis investigation
4. To change of the social justice

Correct answer: 2. For economic growth